Which of the following immunosuppressant drugs is most nephrotoxic?
1. Azathioprine
2. Cyclophosphamide
3. Mycophenolate mofetil
4. Tacrolimus

Correct answer: 4. Tacrolimus

Explanation: Among the given drugs Tacrolimus has dose-limiting nephrotoxicity In addition, it can precipitate diabetes, alopecia, and diarrhea. Hypertension, hirsutism, gum hyperplasia is less marked compared to cyclosporin. Other drugs listed above are antiproliferative drugs. These have no excess nephrotoxicity effect. they act mainly by preventing the clonal expansion of T and B Lymphocytes. ESSENTIALS OF MEDICAL PHARMACOLOGY SEVENTH EDITION -K.D TRIPATHI Page:881,882 ,883